For the following dyslipidemias, select the most characteristic finding.Hyperchylomicronemia.
1. palmar plane xanthomas
2. triglycerides > 1000
3. subcutaneous extensor tendon xanthomas
4. low serum cholesterol

Correct answer: 2. triglycerides > 1000

Explanation: Very elevated triglycerides are a prominent feature of this disorder. In the familial type 1 form, the defect is believed to be a deficiency of lipoprotein lipase activity. It is a rare autosomal recessive syndrome, and usually presents in childhood with typical eruptive xanthoma and abdominal pain secondary to acute pancreatitis. Secondary hyperchylomicronemia (diabetes, hypothyroidism, uremia) is a much more common syndrome.